Puppe's rule is associated with?
1. Sexual assault
2. Multiple impact injuries
3. Chemical injuries
4. Percentage of burns

Correct answer: 2. Multiple impact injuries

Explanation: Puppe's rule is associated with multiple impact injuries. PUPPE'S RULE It states that when two fracture lines intersect each other, the second fracture line never crosses the first one. It tells us the sequence of shots when multiple bullets have struck the skull, and it is also applicable to the multiple blunt impacts on the skull.